A 6 year old patient reports with greenish blue swelling distal to deciduous 2nd molar. Treatment would be:
1. Surgical excision of flap
2. Bone graft
3. No treatment, only observation
4. Injecting proteolytic solution in the area

Correct answer: 3. No treatment, only observation